CAGE test is used for diagnosis of
1. Opioid abuse
2. Schizophrenia
3. Alcoholism
4. Paranoid Psychosis

Correct answer: 3. Alcoholism

Explanation: CAGE Questionnaire The CAGE questionnaire basically consists of four questions: i. Have you ever had to Cut down on alcohol (amount)? ii. Have you ever been Annoyed by people's criticism of alcoholism? iii. Have you ever felt Guilty about drinking? iv. Have you ever needed an Eye-opener drink (early morning drink)? A score of 2 or more identifies problem drinkers. Ref: A Short Textbook of Psychiatry, Niraj Ahuja, 7th Edition, pg. no. 39